Where and when MDG adopted ?
1. WI-10 1990
2. UN 2000
3. UNICEF 1995
4. ILO 2005

Correct answer: 2. UN 2000

Explanation: Ans. is 'b' i.e., UN 2000 The millennium development Goals (MDG) More recently in September 2000, representive for 189 countries met at the millennium summit in New York, to adopt United Nations Millennium Declaration. The goals in the area of development and poverty eradication are now referred to as "Millennium development Goals" (MDGs). Governments have set a date of 2015 by which they would meet the MDGs. MILLENNIUM DEVELOPMENT GOALS (MDGS - TO BE ACHIEVED BY 2015) : Millennium Development Goals (MDGs) is a set of 8 Goals adopted by 189 countries at UN Millennium Summit in September 2000. Baseline year was taken as 1990: 'All MDGs have to be achieved by 2015' 3 of 8 goals (Goal 4, 5, 6), 8 of 18 targets and 18 of 48 indicators are 'directly' health related Goal 1: Eradicate extreme poverty and hunger Goal 2: Achieve universal primary education Goal 3: Promote gender equality and empower women Goal 4: Reduce child mortality (Reduce by two-thirds the under-five mortality rate) Goal 5: Improve maternal health (Reduce by three-quarters the maternal mortality ratio) Goal 6: Combat HIV/AIDS, malaria and other diseases Goal 7: Ensure environmental sustainability Goal 8: Develop a global partnership for development